The prognosis of rapidly proliferating glomerulonephritis (Crescentic GN) depends upon which of the following factor?
1. Number of crescents
2. Size of crescents
3. Shape of crescents
4. Cellularity of crescents

Correct answer: 1. Number of crescents

Explanation: The prognosis of Crescentic glomerulonephritis can be roughly related to the number of crescents, patients with crescents fewer than 80% of the glomeruli have a slightly better prognosis than those with higher percentage of crescents. Other factors affecting prognosis are: Clinical Pathology Age at onset of disease Extent of crescentic involvement(% normal glomeruli) Infectious/drug etiology Nature of crescent(cellular, fibrocellular, fibrous) Renal function at discovery(oliguria, dialysis dependence) Extent of glomerulosclerosis Serology(ANCA, anti GBM, dual antibody) Chronic tubulointerstitial lesions Genetics (HLA) Disruption of Bowman's capsule) Ref: Treatment of Primary Glomerulonephritis edited by Claudio Ponticelli. Basic Pathology By Stanley Leonard Robbins page 470.